Ralimar, a 30 year old male, sewage worker is brought to hospital with hempotysis and altered mental status. His relatives gives a history that he was suffering from fever, headache and severe myalgia for 5 days. On examination he was found to be severely jaundiced, had petechiae on oral and conjunctival mucosa. Lab investigations showed features of liver and renal failure. What is the most likely causative organism of this condition?
1. Leptospira
2. Plague
3. Yersinia
4. Rickettsial fever

Correct answer: 1. Leptospira

Explanation: This patient is suffering from Wiel's disease caused by Leptospira. Weils syndrome (icteric leptospirosis) is the most severe form of leptospirosis. It is characterized by impaired kidney and liver function, abnormal mental status and hemorrhagic pneumonia and hypotension.